New drug approved for drug-resistant Tuberculosis?
1. Bedaquiline
2. Ibalizumab
3. Bectegravir
4. Apalutamide

Correct answer: 1. Bedaquiline

Explanation: Bedaquiline is the newly approved drug for TB. Acts by inhibiting ATP synthetase in MycobacteriumIbalizumab was approved for HIV in 2018Aplutamide for prostate cancer in 2018Bectegravir for HIV approved in 2018Ref: Harrison 19th Ed. Pg 1115